Dysmetria is seen in lesion of
1. Basal ganglia
2. Cerebellum
3. Pons
4. Midbrain

Correct answer: 2. Cerebellum

Explanation: Dysmetria or past- pointing is a prompt initiation for a gross corrective action as attempting to touch an object with a finger results in overshooting to one or other side , but the correction overshoots to the other side. And finger oscillates to and fro. This is typically seen in cerebellar disease. Ref:Ganongs Review of medical physiology;23 rd edition ; pg :258